Which among the following drug is used in benign prostatic hyperplasia?
1. Flutamide
2. Tamsulosin
3. Duloxetine
4. Solifenacin

Correct answer: 2. Tamsulosin

Explanation: Ans: b (Tamsulosin) Ref: KDT, 6 ed, p. 135Tamsulosin:Uroselective alpha 1A blocker (alpha 1A: alpha 1B = 1:7-38 fold) for BPH.No significant change in HR & BP: postural hypotension.A/E: Retrograde ejaculation, dizziness.Flutamide:Competitive blocker of androgen receptor.Use: Palliative role in prostate cancer along with GnRH agonism.A/E: Gynaecomastia. breast tenderness.Finasteride:5 alpha reductase (Type 2) inhibitor in male urogenital tract.Results in decreased prostatic size & increased peak urinary flow rate in about 50% patients with symptomatic benign hypertrophy of prostate.6 months treatment needed for maximum relief.A/E: Decreased libido, impotence, decreased ejaculate volume.